Which of the following anaesthetic agents causes a rise in the Intracranial pressure –
1. Sevoflurane
2. Thiopentone sodium
3. Lignocaine
4. Propofol

Correct answer: 1. Sevoflurane

Explanation: All inhalational agents increase ICT.
Amongst intravenous agents only ketamine increases ICT. Propofol, etomidate, and barbiturates (thiopentone, methexitone) decrease ICT.
Lidocaine decreases ICT.